Snow Storm" appearance is seen in:
1. Ectopic pregnancy
2. H mole
3. Leiomyoma uterus
4. Abdominal pregnancy

Correct answer: 2. H mole

Explanation: H mole